Dorello's canal transmits in tip of temporal bone-
1. Middle meningeal artery
2. Mandibular nerve
3. Superior alveolar branch of maxillary
4. Abducent nerve

Correct answer: 4. Abducent nerve

Explanation: Dorello canal is an opening to cavernous sinus that transmit aducent nerve underneath the superior petrosal sinus.